Which is the commonest benign tumor of liver?
1. Haematoma
2. Hemangioma
3. Adenoma
4. Nodular focal hyperplasia

Correct answer: 2. Hemangioma

Explanation: Cavernous hemangioma is the most common benign tumor of the liver. It is a vascular mass that is not neoplastic and is composed of dilated blood vessels. They are usually small and are located immediately beneath the fibrous capsule of the liver. Liver cell adenoma is a benign neoplasm of hepatocytes and is found in young women taking OCPs. It may rupture during pregnancy to cause life threatening intra abdominal hemorrhage. The most common neoplasm of the liver is metastatic carcinoma usually from a primary malignancy in the colon, lung, or breast. Hepatocellular carcinoma is a malignant neoplasm of hepatocyte that is usually related to chronic hepatitis virus B and C infections. Ref: The Nature Of Disease: Pathology For The Health Professions By Thomas H. McConnell page 414.